Hypoglycemia is caused by:
1. Alcohol intoxication
2. Thiazide
3. Diazoxide
4. Metoclopramide

Correct answer: 1. Alcohol intoxication